Hormonal levels in PCOD :
1. LH decreases
2. LH increases, FSH increases
3. Insulin decreases
4. Testosterone increases

Correct answer: 4. Testosterone increases

Explanation: Hormones increased in PCOS : 1.Androgens(testosterone,Androstenodione,DHEAS) 2.Luteinizing hormone(LH>10IUml) 3.Estrogen(Estrone>Oestradiol,increased E2/E1 ratio) 4. Insulin (10m IU/L due to insulin resistance) 5.Prolactin (in some patients) 6.increased LDL/cholesterol and triglycerides. Hormones which decreases in PCOS : 1.Follicle stimulating hormone(FSH) 2.Progesterone 3.Sex hormone binding Globulin. 4.HDL and Apoprotein A-I. Shaw's Textbook of Gynaecology, 16th edition page 432